Onion skin thickening of arteriolar wall is seen in-
1. Atherosclerosis
2. Median calcific sclerosis
3. Hyaline arteriolosclerosis
4. Lyme arthritis

Correct answer: 4. Lyme arthritis

Explanation: Lyme arthritis develops in roughly 60% to 80% of untreated patients and is the dominant feature of late disease. The arthritis may be caused by immune responses against Borrelia antigens that cross-react with proteins in the joints, but the exact mechanisms are not yet understood. The disease tends to be migratory, with remissions and relapses. It involves mainly large joints, especially the knees, shoulders, elbows, and ankles, in descending order of frequency. Histologic examination reveals a chronic papillary synovitis with synoviocyte hyperplasia, fibrin deposition, mononuclear cell infiltrates, and onion-skin thickening of arterial walls; (Robbins Basic pathology,9th edition.pg no.790)